If the sympathetic nerves to urinary bladder are sectioned, it will result in:
1. Retention of urine
2. Loss of pain sensation from bladder
3. Retention with overflow
4. Atonic bladder

Correct answer: 2. Loss of pain sensation from bladder

Explanation: The reflex arc for micturition is formed by the parasympathetic nerves (S2,3,4). Sympathetic innervation of the bladder conveys pain sensation from the bladder. Atonic bladder will result from cutting the afferents of the reflex arc from the bladder. A lesion in the spinal cord, above the S2 segment (leaving the reflex arc intact) will result in automatic bladder. A lesion higher up in the spinal cord may lead to spinal shock; retention with overflow will be the result of such a lesion.